Pikes medium is used for transport of specimens which is affected by the following organism:
1. Staphylococci
2. Streptococci
3. Shigella
4. Vibrio

Correct answer: 2. Streptococci

Explanation: For cultures of suspected Streptococcal infections, swabs should be collected under vision from the affected site and either plated immediately or sent to the laboratory in Pike's medium (blood agar containing 1 in 1,000,000 crystal violet and 1 in 16,000 sodium azide). Ref: Textbook of Microbiology By Ananthanarayan And Paniker, 7th edition, Page 210.